In patients with anterior uveitis, decrease in vision due to posterior segment involvement can occur because of –
1. Visual floaters
2. Inflammatory disc edema
3. Exudative retinal detachment
4. CME

Correct answer: 4. CME

Explanation: "Cystoid macular edema is a common cause of visual loss in patients with uveitis and may be observed in the setting of severe anterior or intermediate uveitis. Long-standing or recurrent macular edema can cause permanent loss of vision due to cystoid degeneration".
- Lange Ophthalmology